Most dangerous hepatitis in pregnancy
1. Hepatitis A
2. Hepatitis B
3. Hepatitis C
4. Hepatitis E

Correct answer: 4. Hepatitis E

Explanation: Ans. is 'd' i.e., Hepatitis EHas been explained in previous sessions.